Pulsed gel electrophoresis is used for?
1. DNA
2. RNA
3. Ribosome
4. Protein

Correct answer: 1. DNA

Explanation: Ans. is 'a' i.e., DNA Large DNA of size larger than 15 to 20 KB can be separated with higher resolution by periodically changing the voltage direction. This is called as pulsed gel Electrophoresis